Organ of Rosenmullar is remenant of
1. Endodermal sinus
2. Mulleria duct
3. Mesonephric tuble
4. Paramesonephric duct

Correct answer: 3. Mesonephric tuble

Explanation: Ans. is 'c' i.e., Mesonephric tuble